C-ANCA associated with
1. Wegener's granulomatosis
2. Microscopic polyangitis
3. Churg straus syndrome
4. PAN

Correct answer: 1. Wegener's granulomatosis

Explanation: C-ANCAs, or PR3-ANCA, or Cytoplasmic antineutrophil cytoplasmic antibodies, are a type of autoantibody, an antibody produced by the body that acts against one of its own protein . PR3 is the most common antigen target of ANCA in patients with granulomatosis with polyangiitis. Ref - Researchgate.net